Delirium & dementia can be differentiated by?
1. Loss of memory
2. Apraxia
3. Delusion
4. Altered sensorium

Correct answer: 4. Altered sensorium

Explanation: ANSWER: (D) Altered sensoriumREF: Kaplan & Sadock's Synopsis of Psychiatry 10th ed chapter-10Repeat Psychiatry 2013 Session 1, June 2010